Which of the following anesthetic drugs produces powerful stimulation of the cerebral cortex
1. Cocaine
2. Procaine
3. Lidocaine
4. Tetracaine

Correct answer: 1. Cocaine